In "Thylstrup Fejereskov Index", 'Opaque white lines are more pronounced and frequently merge to form small cloudy areas scattered over the whole surface area', the score given is
1. 2
2. 4
3. 6
4. 7

Correct answer: 1. 2